Alkali resistant haemoglobin is :
1. HbA
2. HbA, C
3. HbS
4. HbF

Correct answer: 4. HbF

Explanation: HbF